Trismus in CA of temporal bone occurs due to involvement of-
1. Dura
2. Temporo mandibular joint
3. Mastoid
4. Eustachian tube

Correct answer: 2. Temporo mandibular joint

Explanation: Ans. is 'b' i.e., Temporo mandibular joint Clinical Assessment of Temporal bone Tumorso A long history of ear discharge suggests cancer associated with inflammatory ear disease (Maijolins ulcer)o Pulsatile tinnitus suggests tumor of vascular origin such as glomus tumor or a middle ear vascular anamoly; or a duralarteriovenous abnormality.o Deep headache raises the suspicion of dural involvement.o Facial weakness indicates invasion of the facial nerveo Onset of vertigo and sensineuronal hearing loss indicates involvement of the labyrinth and the development of speech and swallowing problems heralds involvement of the lower cranial nerves in the jugular foramen.o The onset of trismus due to the involvement of temporomandibular joint, pterygoid muscles or mandible suggests advanced disease that has spread anteriorly. Also the appearance of perauricular and parotid swelling is a grave sign.